Ascent of horse shoe shaped kidney is prevented by
1. Superior mesenteric artery
2. Inferior mesenteric artery
3. Superior mesenteric vein
4. Inferior mesenteric vein

Correct answer: 2. Inferior mesenteric artery

Explanation: Initialy in IUL(intrauterine life) kidneys are present in iliac fossa , Kidney has to reach the level of renal artery which is prevented by inferior mesenteric artery which is a branch of abdominal aorta. Fusion of right and left kidney occurs to form a U shaped structure at the level below inferior mesenteric artery.